The characteristic features of El tor cholera are all except
1. More of subclinical cases
2. Mortality is less
3. Secondary attack rate is high in family
4. El tor vibrio is harder and able to survive longer

Correct answer: 3. Secondary attack rate is high in family

Explanation: Ans. is 'c' i.e., Secondary attack rate is high in family El Tor vibrio . It is much hardier than classical vibrios, capable of surviving in the environment much longer. . The severity of illness is much less, with a large proportion of mild and asymptomatic infections. . Mortality is low and the carrier rate is high. . Fewer secondary cases in affected families (secondry attack rate is less) - Park